A 10-year-old boy presenting with a cubitus varus deformity and a history of trauma 3 months back on clinical examination, has the preserved 3 bony point relationship of the elbow. The most probable diagnosis is
1. Old unreduced dislocation of elbow
2. Non-union lateral condylar fracture of humerus
3. Malunited intercondylar fracture of humerus
4. Malunited supracondylar fracture of humerus

Correct answer: 4. Malunited supracondylar fracture of humerus

Explanation: D i.e. Malunited Supracondylar fracture